All of the following are radiological signs of scurvy except:
1. White line of Frankel
2. Cupping and fraying
3. Ground glass appearance
4. Zone of rarefraction

Correct answer: 2. Cupping and fraying

Explanation: White line of Frankel, ground glass appearance, and zone of rarefraction are the radiological signs seen in scurvy: Radiological signs in Scurvy includes: White line of Frankel: calcified cartilage at metaphyses Trummerfeld zone: lucent metaphyseal band underlying Frankel line Pelkan spur: Lateral prolongation of the white line, which present at the cortical ends. Wimberger ring sign: Circular, opaque radiological shadow surrounding epiphyseal centers of ossification Ref: nelson textbook of pediatrics 21st edition Pgno: 374